Sleep drunkenness is otherwise called as:
1. Somnolentia
2. Somnambulism
3. Automatism
4. Hypnotism

Correct answer: 1. Somnolentia

Explanation: Somnolentia - sleep drunkenness Somnambulism - sleep walking Automatism - act committed during a state of unconsciousness or grossly impaired consciousness. Hypnotism - mesmerism